Ohngren's line extends from-
1. Lateral canthus of the eye to angle of mandible
2. Medial canthus of eye to angle of mandible
3. Medial canthus of eye to tragus
4. Tragus to angle of mandible

Correct answer: 2. Medial canthus of eye to angle of mandible

Explanation: Ans. is 'b' i.e., Medial canthus of eye to angle of mandible Qhngren's lineo In head and neck cancer, Ohngren's line is a line that connects the medial canthus of the eye to the angle of the mandibleo The line defines a plane orthogonal to a sagittal plane that divides the maxillary sinus into (1) an anterior-inferior part, and (2) a superior-posterior part.o Tumours that arise in the anterior-inferior part, i.e. below Ohngren's line, generally have a better prognosis than those in the other groupo Addition to above a vertical line through pupil is also considered, which divides the above mentioned structures into 4 different regions. The structures at posterosuperior medial have worst prognosis and that at anteroinferior medial are least dangerous.